Breslow thickness is used in
1. Melanoma
2. Squamous cell carcinoma
3. Basal cell carcinoma
4. Actinic keratosis

Correct answer: 1. Melanoma

Explanation: In melanoma, the probability of metastasis correlates with the depth of invasion, which by convention is the distance from the superficial epidermal granular cell layer to the deepest intradermal tumour cells; this measurement is known as the Breslow thickness.The probability of metastatic spread and prognosis, to predict an outcome is based on the following variables:(1) tumour depth (the Breslow thickness); (2) number of mitoses; (3) evidence of tumour regression (presumably due to the host immune response); (4) ulceration of overlying skin; (5) the presence and number of tumour infiltrating lymphocytes; (6) gender; and (7) location (central body or extremity)Since most melanomas initially metastasize to regional lymph nodes, additional prognostic information may be obtained by performing a sentinel lymph node biopsyRobbins Pathology 9e pg: 1150